The rate at which the alveolar concentration of an anaesthetic approaches inspired concentration is a function of all except
1. Alveolar ventilation
2. Water solubility of agent
3. Cardiac output
4. Saturated vapour pressure

Correct answer: 4. Saturated vapour pressure

Explanation: Saturated vapour pressure does not determine the rate of uptake of anaesthetic agent from inspired gas into the blood.